First step in investigation of an epidemic is:-
1. Source identification
2. Verification of the diagnosis
3. Confirmation of existence of epidemic
4. Formation of hypothesis

Correct answer: 2. Verification of the diagnosis

Explanation: Investigation of an epidemic-chronological steps: 1) Verification of diagnosis - 1st step2) Confirmation of existence of epidemic 3) Defining population at risk 4) Rapid search of all cases and their characteristics 5) Data analysis 6) Formation of hypothesis 7) Testing of hypothesis 8) Evaluation of ecological factor 9) Further investigation of population at risk 10) Writing the report